Hemiballismus is due to lesion o
1. Caudate nucleus
2. Subthalamic nucleus
3. Putamen
4. None

Correct answer: 2. Subthalamic nucleus

Explanation: Hemiballismus is lesion of subthalamic nucleus